CD-15 helps in assessment of which of the following:
1. Adult T-cell leukemia
2. Hodgkin's disease
3. Mycosis fungoides
4. Larger granular lymphocytic leukemia

Correct answer: 2. Hodgkin's disease

Explanation: Ans. B: Hodgkin's disease CD15 (3-fucosyl-N-acetyl-lactosamine) is a cluster of differentiation antigen - an immunologically significant molecule. CD15 is a carbohydrate adhesion molecule (not a protein) that can be expressed on glycoproteins, glycolipids and pro teoglycans CD15 mediates phagocytosis and chemotaxis, found on neutrophils; expressed in patients with Hodgkin disease, some B-cell chronic lymphocytic leukemias, acute lymphoblastic leukemias, and most acute nonlymphocytic leukemias. It is also called Lewis x and SSEA-1 (stage-specific embryonic antigen 1) and represents a marker for murine pluripotent stem cells, in which it plays an important role in adhesion and migration of the cells in the preimplantation embryo. It is synthezised by FUT4 (fucosyltransferase 4) and FUT9.